A 16 year old male is found to have a mental age of 9 years on I.Q. testing. He has:
1. Mild Intellectual Disability
2. Moderate Intellectual Disability
3. Severe Intellectual Disability
4. Profound Intellectual Disability

Correct answer: 1. Mild Intellectual Disability

Explanation: A i.e. Mild Intellectual Disability